Centrilobular necrosis is seen in
1. CCL4
2. White phosphorus
3. Yellow fever
4. Eclampsia

Correct answer: 1. CCL4

Explanation: Refer Robbins page no 872 8th edition Centrilobular necrosis refers to the necrosis of the centrilobular tissue of the hepatic lobule. The centrilobular zone of the lobule is most prone to metabolic toxins such as those generated in alcoholic hepatitis.